Which of the following is the drug of choice in obsessive compulsive disorder?
1. Olanzapine
2. Fluoxetine
3. Alprazolam
4. Chlorpromazine

Correct answer: 2. Fluoxetine

Explanation: Strong serotonin increasing drugs are used to treat Obsessive Compulsive Disorder. SSRIs (Selective Serotonin Reuptake Inhibitors), particularly Fluoxetine is the drug of choice for the condition. Clomipramine is also widely used to treat OCD. CBT or Cognitive Behavioural Therapy is instituted along with the use of mediicnes.